Most common complication of IUCD
1. Bleeding
2. Pain
3. PID
4. Abortion

Correct answer: 1. Bleeding

Explanation: The commonest complaint of women fitted with an IUCD is increased vaginal bleeding The bleeding may be greater in volume during menstruation or a longer periods or mid cycle bleeding Reference: Park's textbook of preventive and social medicine, 23rd edition, Page no: 498